Anesthetic agent causing bradycardia is?
1. Gallamine
2. Vecuronium
3. Ketamine
4. Morphine

Correct answer: 4. Morphine

Explanation: Ans. is 'd' i.e., Morphine * Bradycardia is caused by - Succinylcholine, propofol, opioids anaesthetics (Morphine, fentanyl and its cogneres).* Tachycardia is caused by - Gallamine, Pancuronium, Rocuronium, Ketamine, Thiopentone, Methohexitone.